The most definitive method of diagnosing pulmonary embolism is :
1. Pulmonary arteriography
2. Radioisotope perfusion pulmonary scintigraphy
3. EKG
4. Venography

Correct answer: 1. Pulmonary arteriography

Explanation: Answer is A (Pulmonary arteriography): `Selective pulmonary angiography is the most specific examination available for establishing the definitive diagnosis of PE.'-Harriosn 16th/1563 Most definitive investigation :Pulmonary angiography is an invasive procedure, and it is the most definitive procedure. It is however certainly not the initial investigation of choice. The initial investigation of choice in a case of suspected pulmonary embolism is either a lung ventilation perfusion scan or a CT of the chest with intravenous contrast. `CT scanning of the chest with intravenous contrast is the principal imaging test for diagnosis of PE.' - Harrison `Lung scanning (V/Q scan) is now a second line diagnostic test for PE' Most definitive / specific test for PE Q Best initial imaging test for diagnosis of PEdeg Pulmonary angiographyQ CT scan with intravenous contrast Q (Preferred choice, against a lung V-Q scan)